Ellis curve is seen in
1. Pheumothorax
2. Pheumonia
3. Asthma
4. Pleural effusion

Correct answer: 4. Pleural effusion

Explanation: o On chest X-rays, pleural effusion presents as homogenous opacity.
o Typically this opacity has a fairly well defined concave upper edge, is higher laterally than medially and obscures the diaphragmatic shadow